External cephalic version is contraindicated all of the following except:
1. Antepartum hemorrhage
2. Multiple pregnancy
3. Breech presentation
4. Ruptured membranes

Correct answer: 3. Breech presentation

Explanation: Ans. C: Breech Presentation External cephalic version is a process by which a breech baby can sometimes be turned from buttocks or foot first to head first. It is usually performed after about 36 weeks. It is often reserved for late pregnancy because breech presentation greatly decreases with every week. It can be contrasted with "interal cephalic version", which involves the hand inserted through the cervix Contraindications include antepartum hemorrhage,pre-eclampsia, ruptured membranes,uterine scarring, and multiple pregnancies or fetal abnormality.